Asprin is not given in a patient who is already on heparin because aspirin causes :
1. Platelet dysfunction
2. Aspirin inhibits the action of heparin
3. Enhanced hypersensitivity of heparin
4. Therapy of heparin cannot be monitored

Correct answer: 1. Platelet dysfunction